p ANCA associated vasculitis is -
1. Temporal arteritis
2. Microscopic polyangitis
3. Takayasu arteritis
4. Polyarteritis nodosa

Correct answer: 2. Microscopic polyangitis

Explanation: Arts, is 'b' i.e., Microscopic polyangitis Classification of VasculitisLarge-VesselMedium-VesselSmall-VesselTemporal arteritisTakayasu arteritisPolyarteritis nodosaKawasaki disease ANCA-positiveANC A-n egativeWegener .V granulomatosisM icroscopic polyarteritisChurg-strauss syndromeRenal-limited vasculitisHenoch-Scholien purpuraEssential cryoglobidinemic vasculitisCutaneous leucocyto angitisBehcets syndrome cANCA predominant ANCA inWegener s granulomatosispANCA Predominant ANCA inMicroscopic polyangitisChwg-Strauss syndromeCrescentric glomerulonephritisRenal-limited vasculitisGood pasture syndrome